All of the following are adverse effects of sodium valproate except:
1. Weight gain
2. Alopecia
3. Liver damage
4. Osteomalacia

Correct answer: 4. Osteomalacia

Explanation: *Osteomalacia is not a side effect of sodium valproate. However, Phenytoin on the other hand can cause this problem. *Other side effects include weight gain, tremors, fulminant hepatitis and polycystic ovarian disease. REF: GOODMAN AND GILLMAN 13TH ED.